Pipkin's classification system is used for ?
1. Fracture femur head
2. Fracture femur shaft
3. Fracture proximal tibia
4. Fracture calcaneum

Correct answer: 1. Fracture femur head

Explanation: Ans. is 'a' i.e., Fracture femur head Pipikin's classification of femoral head fracture Type I : Femoral head fracture inferior (caudal) to fovea. Type II : Femoral head fracture superior (cephalad) to fovea. Type III : Femoral head fracture with associated femoral neck fracture. Type IV : Type I, II or III with associated acetabular fracture.